Drugs causing painful salivary glands all except ?
1. Phenybutazone
2. Ambroxol
3. Clozapine
4. Iodides

Correct answer: 2. Ambroxol

Explanation: Ans. is'b'i.e., Ambroxol[Ref: httpL/www.ijohmr.com/upload/Adverse%o20Efects%20of/o20Drugso/o20on%o20Salivary%o20Glands.pdflDrugs associated with salivary gland enlargementClozapine may cause transient salivary gland swelling as well as sialorrhea.